What is the major cause of death in patients with chronic renal failure?
1. Uremia
2. Malignant hypertension
3. Hyperkalemia-induced arrhythmias
4. Myocardial infarction

Correct answer: 4. Myocardial infarction

Explanation: The major causes of death in patients with chronic renal failure are myocardial infarction and cardiovascular accidents (CVAs), secondary to atherosclerosis and arteriosclerosis. Uremia itself can be controlled by dialysis or renal transplantation. Hypertension is usually controllable by individualized antihypertensive therapy. Arrhythmias, although they do occur in these patients, are not the major cause of death. Subarachnoid hemorrhage, as a subset of a CVA, does occur but is less common as a cause of death than myocardial infarction. Ref: Obrador G.T. (2009). Chapter 17. Chronic Renal Failure & the Uremic Syndrome. In E.V. Lerma, J.S. Berns, A.R. Nissenson (Eds), CURRENT Diagnosis & Treatment: Nephrology & Hypertension.